Inspissation is -
1. Heating at 160degC for 15 minutes
2. Heating at 160degC for 30 seconds
3. Heating at 80degC for 30 minutes
4. Heating at 120degC for 15 seconds

Correct answer: 3. Heating at 80degC for 30 minutes

Explanation: Ans. is 'c' i.e., Heating at 80degC for 30 minutes Inspissation* It is heat exposure method that is employed with high protein material, like egg containing media, that cannot withstand the high temperature used in autoclaving.* The medium is exposed to 80degC for 30 minutes for three successive days in inspissator.* It can be used for LJ medium and loeffler serum slop.